Pit & tissue sealants act by
1. Killing micro-organism causing caries
2. Blocking nutrient supply to bacteria
3. Neutralising acid produced by bacteria
4. All of these

Correct answer: 2. Blocking nutrient supply to bacteria